Brunner's glands are seen in which of the following?
1. Stomach
2. Small intestine
3. Large intestine
4. Duodenum

Correct answer: 4. Duodenum

Explanation: Brunner's glands (or duodenal glands) are compound tubular submucosal gland found in that portion of the duodenum which is above the hepatopancreatic sphincter (sphincter of Oddi). The main function of these glands is to produce a mucus-rich alkaline secretion ref - BDC 6e vol2 pg259